A 27-year-old patient was diagnosed to have borderline leprosy and started on multibacillary multi-drug therapy. Six weeks later, he developed pain in the nerves and redness and swelling of the skin lesions. The management of his illness should include all of the following, except:
1. Stop anti-leprosy drugs
2. Systemic corticosteroids
3. Rest to the limbs affected
4. Analgesics

Correct answer: 1. Stop anti-leprosy drugs

Explanation: A i.e. Stop Anti leprosy drugs